Effective size of sand in rapid sand filter is
1. 0.2 mm
2. 0.1 mm
3. 0.8 mm
4. 0.5 mm

Correct answer: 4. 0.5 mm